Features like increased psychomotor activity, waxy flexibility at time are seen classically in -
1. Simple schizophrenia
2. Hebephrenic schizophrenia
3. Catatonic schizophrenia
4. None of the above

Correct answer: 3. Catatonic schizophrenia